An apparently healthy newborn with a hardy appetite has begun feedings with formula. When she is laid down in the crib after feeding, she experiences projectile vomiting. Which of the following conditions is a probable cause of this vomiting?
1. Physiological umbilical herniation
2. Esophageal hiatal hernia
3. Tetralogy of Fallot
4. Congenital diaphragmatic hernia

Correct answer: 2. Esophageal hiatal hernia

Explanation: An esophageal hiatal hernia is a herniation of the stomach through the esophageal hiatus into the thoracic cavity. This compromises the esophagogastric sphincter so that stomach contents can easily reflux into the esophagus. The combination of a full stomach after feeding and lying down in the crib will cause vomiting in this newborn. TOF presents with cyanotic spells in baby. Congenital diaphragmatic hernia presents with breathing difficulty . Physiological umbilical herniation is not associated with vomiting.